Rain, a 10 yr old boy is having difficulty in learning at school. He has short lapses of awareness with eyelid fluttering that occur every 5-10 minutes. EEG studies reveal brief 3 Hz spike and wave discharges appearing synchronously in all the leads. Which of the following drugs would be effective but has the disadvantage that it causes sedation and tolerance?
1. Diazepam
2. Ethosuximide
3. Clonazepam
4. Valproic acid

Correct answer: 3. Clonazepam

Explanation: (Ref: KDT 6/e p411, 412) Diagnosis of the patient is petit mal epilepsy (absence seizures). Drugs effective against absence seizures are: - Ethosuximide - Valproate - Clonazepam - Lamotrigine Clonazepam is a benzodiazepine that can cause sedation and tolerance.